Over closure of jaws is accentuated muscle activity:
1. Buccinator
2. Lateral pterygoid
3. Temporalis
4. medial pterygoid

Correct answer: 3. Temporalis

Explanation: Hyperactive mentalis activity and abnormal buccinator activity is seen in class-II division-1 cases.
Over closure of jaws is associated with accentuated temporatis muscle activity.